To look right-left which joint is used
1. Atlanto-axial joint
2. Atlanto-occipital joint
3. Occipito-axial joint
4. C6-C7 articulation

Correct answer: 1. Atlanto-axial joint

Explanation: Ans: A. Atlanto-axial jointMovements permitted at atalanto-axial joints are side-to-side rotation of head (looking towards right-or left).